Which suture is absorbed in 180 days
1. Polydiaxonone
2. Catgut
3. Chromic Catgut
4. Nylon

Correct answer: 1. Polydiaxonone

Explanation: Answer- A. PolydiaxononePolydioxanone suture provides wound support for longer period as compared to other synthetic absorbable sutures.Polydioxanone suture also offers far superior tensile strength. Polydioxanone suture is made from polymerizing para dioxanone monomer.